A diabetic patient presents with fungal infection of sinuses and peri–orbital region with significant visual impairment. The best drug for treatment of this patient is :
1. Amphotericin B
2. Itraconazole
3. Ketoconazole
4. Broad spectrum antibiotics

Correct answer: 1. Amphotericin B